Characteristic pathological finding in carcinoid of heart:
1. Fibrous endocordial thickening of right ventricle and tricuspid valve
2. Collagen deposition in wall of right ventricle
3. Interstitial fibrous thickening of right ventricles
4. Mononuclear inflammatory infiltrate in the wall

Correct answer: 1. Fibrous endocordial thickening of right ventricle and tricuspid valve

Explanation: Ans. (a) Fibrous endocordial thickening of right ventricle and tricuspid valve(Ref: Robbins 9th/pg 562; Heart 2004; 90:1224-1228 doi:10.1136/hrt.2004.040329)Carcinoid heart disease;Characteristic pathological findings are endocardial plaques of fibrous tissue that may involve the tricuspid valve Q, pulmonary valve Q, cardiac chambers, venae cavae, pulmonary artery, and coronary sinus.